Referred otalgia can be due to
1. Carcinoma larynx
2. Carcinoma oral cavity
3. Carcinoma tongue
4. All of the above

Correct answer: 4. All of the above

Explanation: Causes of referred otalgia Ear receives nerve supply from Vth (auriculotemporal), 1Xth (tympanic br.) and Xth (auricular br.) cranial nerves; and from C2 (lesser occipital) and C2 and C3 (greater auricular), pain may be referred from these remote areas 1. Via Vth cranial nerve Dental; Caries tooth, apical abscess, impacted molar, malocclusion. Oral cavity; Benign or malignant ulcerative lesions of oral cavity or tongue. Temporomandibular joint disorders; Bruxism, osteoarthritis, recurrent dislocation, ill-fitting denture. Sphenopalatine neuralgia. 2. Via IXth cranial nerve Oropharynx; Acute tonsillitis, peritonsillar abscess, tonsillectomy. Benign or malignant ulcers of soft palate, tonsil and its pillars. Base of tongue; Tuberculosis or malignancy. Elongated styloid process. 3. Via Xth cranial nerve. Malignancy or ulcerative lesion of: vallecula, epiglottis, larynx or laryngopharynx, esophagus. 4. Via C2 and C3 spinal nerves. Cervical spondylitis, injuries of cervical spine, caries spine.